Otitis and osteomyelitisis seen in :
1. Hepatitis B vaccine
2. BCG
3. Measles vaccine
4. IPV

Correct answer: 2. BCG

Explanation: The most serious complication of BCG vaccination is disseminated BCG infection.
The most frequent disseminated infection is BCG osteomyelitis (0.01-43 cases per million doses of vaccine administered) which usually occurs 4 months to 2 years after vaccination.
Fatal disseminated BCG infection has occurred at a rate of 0.06-1.56 cases per million doses; these deaths occurred primarily among immunocompromised persons.
BCG otitis – A form of acute otitis media occasionally observed in infants after orla administration of BCG tuberculosis vaccine.
In pus and granulation of the ear in a number of patients detected acid-bacteria vaccine strain BCG. Typicaly imperceptible onset at normal temperature, the growth of granulation tissue, for lingering, long-term, but beneficial.